Gracey curettes have a characteristic feature that
1. They are used for area of surface of the tooth
2. They have double cutting edge
3. They can be used any where in oral cavity
4. All

Correct answer: 1. They are used for area of surface of the tooth